Flux used in stainless steel solder are all except
1. Borax
2. Boric acid
3. Potassium fluoride
4. Sodium fluoride

Correct answer: 4. Sodium fluoride